Average of length of maxillary cuspid is:
1. 26 mm
2. 33 mm
3. 21 mm
4. 18 mm

Correct answer: 1. 26 mm